Which of the following membranes has the highest protein content per gram tissue
1. Myelin sheath
2. Outer mitochondrial Membrane
3. Sarcoplasmic Reticulum
4. Inner Mitochondrial membrane

Correct answer: 4. Inner Mitochondrial membrane

Explanation: The membrane with the highest protein content is inner mitochondria The membrane with highest lipid content is myelin sheath Protein to Lipid ratio in Different Membranes Membranes Protein:Lipid Ratio Myelin 0.23 Human RBC 1.1 Mitochondrial outer membrane 1.1 Sarcoplasmic reticulum 2.0 Mitochondrial inner membrane 3.2 Ref: Harper's illustrated Biochemistry 31st edition Pgno: 1124